Boundaries of upper triangular space include all except -
1. Teres minor
2. Teres major
3. Subscapularis
4. Triceps

Correct answer: 3. Subscapularis

Explanation: -        Boundaries of upper triangular space

   Medial- Teres minor
   Lateral- Long head of triceps
   Inferior- Teres major
   Content- circumflex scapular artery